Which of the following is the most common cause of overdenture abutment failure?
1. Caries
2. Periodontal complications
3. Endodontic complications
4. None of the above

Correct answer: 2. Periodontal complications

Explanation: Most frequent cause of overdenture abutment failure is periodontal complication (70%) followed by caries (25%) and endodontic complications (5%).